Following may be premonitory symptoms of tetanus, except:
1. Sleeplessness
2. Anxious expression
3. Urinary incontinence
4. Headache

Correct answer: 3. Urinary incontinence